A 40-year-old male had undergone splenectomy 20 years ago. Peripheral blood smear examination would show the presence of -
1. Dohle bodies
2. Hypersegmented neutrophils
3. Spherocytes
4. Howell-Jolly bodies

Correct answer: 4. Howell-Jolly bodies